In patient of hypertension, metoprolol and verapamil are given together. This combination can result in
1. Atrial fibrillation
2. Bradycardia
3. Torsades' de pointes
4. Tachycardia

Correct answer: 2. Bradycardia

Explanation: Beta blocker (metoprolol) and non-DHP CCBs (verapamil) block SA node and AV node. Both combined can cause severe bradycardia and AV block. Drugs causing Torsades' de pointes include: Quinidine, Procainamide, Cisapride, Astemizole, Terfenadine etc.